HLA B-27 has > 90% association with?
1. Enteropathic
2. Reactive arthritis
3. Rheumatoid arthritis
4. Ankylosing spondylitis

Correct answer: 4. Ankylosing spondylitis

Explanation: Ans. (d) Ankylosing spondylitis(Ref: Harrison 18th/chapter 325)Prevalence of HLA B27 is 90% in patients with Ankylosing Spondylitis, independent of disease severity.